Fracture of surgical neck of humerus leads to loss of abduction movement of the corresponding shoulder joint due to injury of?
1. Radial nerve
2. Musculo cutaneous nerve
3. Axillary nerve
4. Median nerve

Correct answer: 3. Axillary nerve

Explanation: Axillary nerve